A healthy 30-year-old male runs on the treadmill for 30 mins.Which of the following muscle does this person use during expiration?
1. Sternocleidomastoid and Diaphragm
2. Diaphragm and Internal intercostals
3. Internal intercostals and abdominal recti
4. Sternocleidomastoid

Correct answer: 3. Internal intercostals and abdominal recti

Explanation: Internal intercostals and abdominal recti are involved in strenuous exercise Muscles involved in Respiration Primary inspiratory Muscles Diaphragm External intercostal muscles Accessory Inspiratory Muscles Sternocleidomastoid Scaleni Alae nasi Small muscles of the head & neck Expiratory Muscles Internal intercostal muscles Rectus Abdominis Internal & external obliques Transversus abdominis